Main action of superior rectus
1. Extorsion
2. Intorsion
3. Elevation
4. Depression

Correct answer: 3. Elevation

Explanation: Actions of superior rectus Vertical axis: elevation Main action horizontal axis: addicts Anterioposterior axis: rotates medially (intorsion) Ref: BDC volume 3:sixth edition pg 211